Elastic cartilage is absent in:
1. Epiglottis
2. Trachea
3. External auditory canal
4. Auricle of the ear

Correct answer: 2. Trachea

Explanation: Ans. B: Trachea Elastic cartilage is present in the pinna, external auditory meatus, eustachian tubes, epiglottis, vocal process of arytenoids cartilage